Carcinoma common in dye industry workers:
1. Skin
2. Scrotum
3. Urinary bladder
4. Maxilla

Correct answer: 3. Urinary bladder

Explanation: Ans. c (Urinary bladder). (Ref. Bailey and Love, 25th/pg.1334)RISK FACTORS FOR CARCINOMA OF BLADDER# Following occupations have been reported to be associated with a significantly increased risk of carcinoma bladder:- Cigarette smoking- Dye workers, Textile workers, Petrol workers, Leather workers, Tyre tube and cable workers, Painter, Shoe manufacturers and cleaners.# Following compounds are carcinogenic, as far as urinary bladder carcinoma is considered:- 2-naphthylamine, 4-aminobiphenyl benzidine, Chloro-o-toludine, O-toludine, 4--4'-methylene bis (2-chloroaniline), Methyleneclianiline# Other risk factors:- Genetic: Polymorphisms for N-acetyl transferase, glutathione transferase & cytochrome P450 (CYP2D6)- Schistosomiasis (Squamous cell carcinoma)0- Balkan nephropathy- In activation of tumor suppressor genes like p53, pl6&Rb and activation of tumor oncogenes like ras & c-erb. B- 2.